Nerve commonly damaged in fracture shaft humerus is -
1. Axillary nerve
2. Radial nerve
3. Ulnar nerve
4. Median nerve

Correct answer: 2. Radial nerve

Explanation: Ans. is 'b' i.e., Radial nerve Complications Fracture shaft humerus* Nerve injury: The radial nerve is commonly injured in a fracture of the humeral shaft. The injury to the nerve is generally a neurapraxia only. A special type of humerus fracture, where there is a spiral fracture at the junction of the middle and distal third, is commonly known to be associated with a radial nerve palsy. This is called Holstein Lewis fracture.* Delayed and non-union: Fractures of the shaft of the humerus, especially transverse fracture of the midshaft, often go into delayed or non-union. The causes of non-union are: inadequate immobilization or distraction at the fracture site because of the gravity.